At mu receptor, buphrenorphine is ?
1. Partial agonist
2. Partial antagonist
3. Complete agonist
4. Complete antagonist

Correct answer: 1. Partial agonist

Explanation: Ans. is 'a' i.e., Partial agonist o Buprenorphine is partial agonist at p. receptor and antagonist at Kappa receptor. Buprenorphine (partial agonist lc antagonist) o It is 25 times more potent than morphine. It substitutes for morphine at low levels of dependence but precipitates withdrawl in highly dependent suspect ---> Partial agonistic action at receptors. o Naloxone only partially reverse buprenorphine effects and does not precipitate its withdrawl because of more tight binding of buprenorphine to opioid receptors. It can be used for the management of opioid withdrawl, alternative to methadone.